Maltese cross is characteristic feature of -
1. Cryptococcus neoformans
2. Babesia microti
3. Blastomycosis
4. Penicillium marfeni

Correct answer: 2. Babesia microti

Explanation: Giemsa stained thin blood films are examined for demonstration of intraerythrocytic parasite.in humans ring forms of babesia may be mistaken for P.falciparum although the presence of tetrad forms(MALTESE CROSS) in the erythrocytes and absence of hemozoin are diagnostic REF:TEXTBOOK OF MEDICAL PARASITOLOGY,BAVEJA,3RD EDITION,PAGE NO 63